Which type of eclampsia has the worst prognosis?
1. Antepartum
2. Postpartum
3. Intrapartum
4. Imminent

Correct answer: 1. Antepartum

Explanation: Ans. is a, i.e. AntepartumRef. Dutta Obs. 7/e, p233Eclampsia if associated with the following features has bad prognosis:Long interval between onset of fit and commencement of treatmentAntepartum eclampsia especially with long delivery intervalNumber of fits >10Coma in between fitsTemperature >102degF with pulse rate >120/minBP >200mm of Hg systolicOliguria (<400mL/24hr) with proteinuria >5gm/24 hrNon response to treatmentJaundice.